Drug having very narrow therapeutic range is:
1. Lithium
2. Sertraline
3. Roboxetine
4. Dothiepin

Correct answer: 1. Lithium